Defect in Gluteus Maximus lead to all of the following, EXCEPT:
1. Positive Trendelenburg's sign
2. Extension defect
3. Difficulty in straightening from the bending position
4. Difficulty rising from the sitting position

Correct answer: 1. Positive Trendelenburg's sign

Explanation: Positive trendelenburg's sign is seen in superior gluteal nerve (Gluteus mediusminimus) injury and not in Inferior gluteal nerve injury (Gluteus maximus). The gluteus maximus is the most powerful hip extensor and is crucial for movements requiring large forces. It functions primarily between the flexed and the standing positions, as when rising from the sitting position, straightening from the bending position, walking uphill and upstairs, running and jumping.